Prolonged and repeated use of nasal decongestants leads to -
1. Rhinitis medicamentosa
2. Bronchitis
3. Both
4. None

Correct answer: 1. Rhinitis medicamentosa